GERD in the absence of endoscopic esophagitis is seen in:
1. Partially treated cases with PPI
2. Scleroderma
3. CRF
4. Cirrhosis

Correct answer: 1. Partially treated cases with PPI

Explanation: GERD is often diagnosed in the absence of endoscopic esophagitis. This phenomenon is seen in: Partially treated disease Abnormally sensitive esophageal mucosa. Next investigation in this setting would be: Reflux testing. It can demonstrate excessive esophageal exposure to refluxed gastric juice, the physiologic abnormality of GERD. (Ambulatory 24- to 48-hour esophageal pH recording using either a wireless pH-sensitive transmitter that is anchored to the esophageal mucosa or with a transnasally positioned wire electrode with the tip stationed in the distal esophagus) Ref: Harrison, E-18, P-2428